A 58 year old man shows positive Rinne test. He probably have:
1. Wax in ear
2. Chronic suppurative otitis media
3. Otomycosis
4. Normal hearing

Correct answer: 4. Normal hearing

Explanation: A Rinne test compares the ability to hear by air conduction with the ability to hear by bone conduction. Rinne is positive when AC is longer or louder than BC. It is seen in normal persons or those having sensorineural hearing loss. A negative Rinne (BC>AC) is seen in conductive deafness.